A cricketer holds a catch and then presents with pain at the base of the right thumb. He should be examined to specifically rule out damage to which of the following structure :
1. Extensor pollicis brevis
2. Abductor pollicis longus
3. Volar plate
4. Ulnar collateral ligament

Correct answer: 4. Ulnar collateral ligament

Explanation: This is a case of skier's thumb i.e. acute injury to ulnar collateral ligament which occurs when there is abrupt abduction of the thumb. Injury is common in ball handling athletes.
Patient presents with pain, tenderness and swelling at the base of thumb.